A Panel discussion is ?
1. Mass approach
2. Individual approach
3. Group approach
4. One way communication

Correct answer: 3. Group approach

Explanation: Ans. is 'c' i.e., Group approach